The most unlikely clinical feature of Hepatocellular carcinoma is -
1. Hepatomegaly
2. Raised a-fetoprotein levels
3. Raised alkaline phosphatase
4. Jaundice

Correct answer: 4. Jaundice

Explanation: "Jaundice is rare, unless significant deterioration of liver function or obstruction of bile ducts occurs. Serum elevations of alkaline phosphates and alpha fetoprotein are common" -- Harrison 16/e (not mentioned in 17th edition) HCC tends to present at late stages because it occurs in patients with underlying cirrhosis and the symptoms and signs may suggest progression of the underlying disease. Symptoms at this advanced stage are vague upper quadrant abd. pain nonspecific sym. of advanced malignancy (i.e. anorexia, wt. loss, lethargy) Hepatomegaly or a mass is palpable in many patients. Serum elevation of alkaline phosphates and a feto-protein are common. Most common symptom- abdominal pain. Most common physical sign- hepatomegaly Ref : Harrison 17/e 581